Energy requirement in late pregnancy who does moderate work -
1. 2580 cal
2. 1400 cal
3. 1000 cal
4. 500 cal

Correct answer: 1. 2580 cal

Explanation: Requirements in pregnancy and lactation Group Energy(Kcal/day) Proteins (g/day) Woman Sedentary work 1900 55 Moderate work 2230 55 Heavy work 2850 55 Pregnancy +350 +23 Lactation 0-6 months +600 +19 6-12 months +520 +13 Extra 350 is required, so 2230+350 = 2580 kcal/day Ref: Park 25th edition Pgno : 674